Not a causes for DIC -
1. Septicemia
2. Visceral carcinoma
3. Cholera
4. Antepartum hemorrhage

Correct answer: 3. Cholera

Explanation: Ans. is 'c' i.e., Cholera